Which of the following antiepileptic agents acts on the GABAergic system to decrease the uptake of GABA into neurones and glial cells-
1. Vigabatrin
2. Progabide
3. Gabapentin
4. Tiagabine

Correct answer: 4. Tiagabine

Explanation: Ans. is 'd' i.e., Tiagabine Mechanism of action of Tiagabine. o Tiagabine inhibits the GABA transporter GAT-1 o Inhibition of GABA transporter reduces the uptake of GABA into neurones and glia. o In this way the duration of inhibitory synaptic currents is increased, because the inhibitory transmitter GABA stays at the synpatic junction for longer durations, as its reuptake into the glial and neuronal cells is prevented.